Cell motility is due to:
1. Actin polymerization
2. Myosin polymerization
3. Both
4. None

Correct answer: 1. Actin polymerization

Explanation: Actin polymerization helps in cell motility Actin and myosin are microfilament They play a role in muscle contraction Ref:Guyton and Hall textbook of medical physiology 12th edition,page number:8,9,14